Which of the following represents the indication for In-situ DNA nick end labeling technique?
1. To detect fraction of cells in apoptotic pathways
2. To detect fraction of cells in S phase
3. To detect p53 gene product
4. To detect bcr/abl gene

Correct answer: 1. To detect fraction of cells in apoptotic pathways

Explanation: It is an in-situ method for detecting areas of DNA which are nicked during apoptosis.In-situ methods for labeling apoptotic cells are used to demonstrate the DNA fragments produced by endonucleolytic cleavage directly within tissue sections. The in-situ methods makes use of enzymes that label 3'-OH ends that results from endonucleolytic cleavage, the terminal deoxynucleotidal transferase mediated UTP nick end labeling (TUNEL) reaction employs terminal deoxynucleotidal transferase TdT. Ref: Molecular Genetic Testing in Surgical Pathology By John D. Pfeifer, Page 116; The Journal of Histochemistry and Cytochemistry, Volume 47(5), Pages 711- 717